Hepatotoxicity caused by valproate can be prevented by-
1. Zinc
2. Carnitine
3. Pyridoxine
4. Vit K

Correct answer: 2. Carnitine

Explanation: Ans. is 'b' i.e., Carnitineo Valprate is a hepatotoxic drug.o Hepatotoxicity is due to its metabolite 4-pantenoic acid.o Valprate hepatotoxicity is more common in persons with mitochondrial enzyme deficiency and may be ameliorated by administration of Carnitine, which valproate therapy can deplete.